Glycine is useful in all of the following except -
1. Purine synthesis
2. Creatine synthesis
3. Spermine synthesis
4. Heme synthesis

Correct answer: 3. Spermine synthesis

Explanation: Ans. is 'c' i.e., Spermine synthesis Glycineo Glycine is a nonessential amino acid which is synthesized from serine. Glycine is metabolized by following three pathways -It can be converted to serine, a reaction that require tetrahydrofolate {derivative of folic acidQ) and pyridoxal phosphateQ as coenzyme. Further serine is metabolized by serine dehydratase into pyruvate and NH4+.The major pathway of glycine degradation is oxidative cleavage into CO and NH4' by glycine cleavage complex of liver. H4 folate is required which is converted to N5, N10- methylene H4 folate. Thus folic acid is required forglycine metabolismQ.Glycine may be oxidatively deaminated by glycine oxidase to glyoxylic acid.o Glycine is necessary for the formation of following products:- HemeQ, purine ringQ, bile acids conjugation (formation of glycocholic acidQ, and glyco-chenodeoxycholic acid), creatineQ, glutathioneQ, glucose (by gluconeogenesis).